The universal blood recipient group is:
1. O -Ve
2. O +Ve
3. AB -Ve
4. AB +Ve

Correct answer: 4. AB +Ve